A patient gives a H/0 twisting strain and locking of the knee joint, the most likely diagnosis is:
1. Avulsion of tibial tubercle
2. Meniscal tear
3. Tearing of lateral collateral ligament
4. Tear of anterior cruciate ligament

Correct answer: 2. Meniscal tear

Explanation: B i.e. Meniscal tear